Which of the following is not a labile cell –
1. Hepatocytes
2. Bone marrow
3. Epidermal cells
4. Small intesting mucosa

Correct answer: 1. Hepatocytes

Explanation: o When a cell proliferates, it passes through a cell cycle.
o Cell cycle has a series of phases : -
□ G1 phase → Rest phase (Presynthetic phase)
□ S phase → Synthetic phase in which the synthesis of DNA takes place.
□ G2 phase → Resting phase (Postsynthetic or postmitotic phase).
□ M phase → Mitotic phase in which mitosis takes place.